Renal tubular acidosis with hyperkalemia is seen in -
1. Type I
2. Type II
3. Type III
4. Type IV

Correct answer: 4. Type IV